Pheochromocytomas if extra adrenal are most commonly located in
1. Posterior mediastinum
2. Superior mediastinum
3. Anterior mediastinum
4. Middle mediastinum

Correct answer: 1. Posterior mediastinum

Explanation: Ans. (a) Posterior mediastinumRef: Bailey and love, 26th ed; pg. 869* Neurogenic tumors derived from the sympathetic nervous system or the peripheral nerves, more common in posterior mediastinum.* Mostly incidental findings in Chest radiograph* May be painful also* Includes neuroblastoma in childhood* Schwannomas and neurofibromas in adults, which are usually benign.* Pheochromocytoma arises from the sympathetic chain and produces the characteristic endocrine syndrome.* Excision of neurogenic tumors by thoracotomy, for smaller tumors a VATS approach done.